All are true about Hepatitis B vaccine except
1. Made by inserting the segment of hepatitis B virus gene into a yeast cell
2. Polysaccharide- based vaccine
3. Hepatitis B Vaccine is identical to natural hepatitis B surface antigen, but does not contain virus DNA
4. Vaccine should be given at Anterolateral side of left mid-thigh

Correct answer: 2. Polysaccharide- based vaccine

Explanation: Hepatitis B is recombinant protein vaccine, not polysaccharide based vaccine. Other recombinant protein Vaccines - Anti HPV vaccine, Lyme disease vaccine, Cholera toxin B vaccine Remaining all other options about Hep-B vaccine are true EXTRA EDGE: Polysaccharide based vaccines are: Typhim-Vi Pneumococcal vaccine Meningococcal vaccine Hib vaccine